Frustration is tolerated by:
1. Id
2. ego
3. super ego
4. unconscious mind

Correct answer: 2. ego

Explanation: Ans: b (ego)Id- refers to a reservoir of unorganized instinctual drives, it operates under primary process thinking and it lacks the capacity to delay or modify the instinctual drives with which an infant is bomEgo-logical and abstract thinking and verbal expressions, defence mechanisms and functions of ego, it's the executive organ of the psycho which controls motility, perception and contact with reality, it modulates and delays instinctional drivesSuper ego- it establishes and maintain an individuals moral conscience on the basis of a complex system of values and ideals internalized from parents. It serves as an agency which scrutinizes a person's behavior, thought and feelings with expected standards of behavior and provides approval/ disapproval(Rough example )Id is basic human instincts for eg ;you see a chocolate in another person's hand and you have a tendency to grab and eat it.Your super ego tells you it would be wrong to do so and your ego acts as a balance between the id and super ego and prevents you from doing that action. Instead it directs you to go and buy a chocolate for yourself.